Swan neck deformity is seen in:
1. Ankylosing spondylitis
2. Rheumatoid arthritis
3. Osteoarthritis
4. Reiter's syndrome

Correct answer: 2. Rheumatoid arthritis

Explanation: Ans. B i.e. Rheumatoid arthritis Rheumatoid arthritis RA is a disease of: Synovium/ synovial membrane RA starts in: Synovium Body tissue mostly affected in RA: Synovium Characteristic feature: - Persistent inflammatory synovitis, - Peripheral joint, - Symmetrical distribution Causes: - Immunological, - Familial, - Infective (implicated) Mostly affects: Females (three times) Earliest lesion in rheumatoid synovitis: - Microvascular injury, - Increase in number of synovial lining cells Joints characteristically involved in RA: - MCP, - PIP (symmetric arthritis) Boutonniere deformity: - Flexion contracture of the PIP - Extension of DIP Criteria for diagnosis: Any 4 criteria must be present Pathognomic feature: Rheumatoid nodule Extra-articular manifestations are seen in: Individuals with high titres of RF (autoantibodies to the Fc component of IgG)